Bajaj committee in 1986 proposed?
1. Multipurpose health worker
2. Manpower and planning
3. Rural Health Service
4. Integrated health services

Correct answer: 2. Manpower and planning

Explanation: Manpower and planning. Reference:India health report 2010,page no;132.